Mercury is toxic because it
1. Complexes with hemoglobin to form methemoglobin
2. Inhibits hemoglobin synthesis, producing anemia
3. Inhibits anaerobic glycolysis
4. Binds to sulfhydryl groups

Correct answer: 4. Binds to sulfhydryl groups